Not a deformity of rheumatoid arthritis
1. Swan Neck
2. Boutonnicre
3. Hallux valgus
4. Claw hand

Correct answer: 4. Claw hand